All of the following should be included during preliminary evaluation of a case of suspected Acute viral hepatitis except:
1. Hbs Ag
2. IgM anti HBc
3. Anti-HCV
4. IgM anti HBe

Correct answer: 4. IgM anti HBe

Explanation: Answer is D (IgM anti HBe) If a clinical diagnosis of acute viral hepatitis (of any type) is suspected, the patient should undergo the following four serological tests. HBsAg - To detect hepatitis B infection IgM Anti HBc - To detect whether the hepatitis B infection is acute or chronic. IgM Anti HAV - To establish the presence of acute hepatitis A infection. Anti HCV - To establish the presence of acute hepatitis C infection. Simplified Diagnostic Approach in Patients Presenting with Acute Hepatitis - Harrison HbsAg IgM Anti-HAV IgM Anti-HBc Anti-HCV Diagnostic Interpretation 4- - + Acute hepatitis B + - - Chronic hepatitis B + 4- - Acute hepatitis A superimposed on chronic hepatitis B + + + - Acute hepatitis A and B - + - Acute hepatitis A and B (HBs Ag below detection threshold) - + - Acute hepatitis B (HbsAg below detection threshold) - - + Acute hepatitis C